Which of the following statements about Diabetic Ketoacidosis is true -
1. Decreased Bicarbonate
2. Increased Lactate
3. Normal anion gap
4. Glucose < 250 mg\/dl

Correct answer: 1. Decreased Bicarbonate

Explanation: The cardinal biochemical features of diabetic ketoacidosis are- * hyperglycemia (blood glucose >= 11 mmol/L ~200 mg/dL) * hyperketonemia (>= 3mmol/ L) and ketonuria (more than 2+ on standard urine sticks) * metabolic acidosis - increased anion gap (venous bicarbonate <15 mmol/L and / or venous pH < 7.3) Reference : page 812 Davidson's Principles and practice of Medicine 22nd edition